Which electrolyte should be replenished in hypertrophic pyloric stenosis ?
1. Sodium
2. Hydrogen
3. Chloride
4. Bicarbonate

Correct answer: 3. Chloride

Explanation: Hypochloremic, hypokalemic metabolic alkalosis is the classic electrolyte and acid-base imbalance of pyloric stenosis. This prolonged vomiting causes progressive loss of fluids rich in hydrochloric acid, which causes the kidneys to retain hydrogen ions in favor of potassium. Reference: GHAI Essential pediatrics, 8th edition